The commonest site of lymphoma in the gastrointestinal system is
1. Small bowel
2. Stomach
3. Large intestine
4. Oesophagus

Correct answer: 2. Stomach

Explanation: Stomach is the commonest site of lymphoma in the gastrointestinal system is Stomach(55%). Helicobacter pylori infection is the causative agent commonly. Other sites are small bowel(30%), colon(10%), ileocaecal region (5%).Reference : page 856 SRB's manual of surgery 5th edition